Boundaries of Popliteal fossa
1. Biceps femoris
2. Both heads of Gastrocnemius
3. Adductor magnus
4. All

Correct answer: 4. All

Explanation: A. i.e. Biceps femoris; B. i.e. Both heads of gastrocnemius; C. i.e. Adductor magnus